Which of the following drugs is hydrolyzed by a plasma esterase that is abnormally low in activity in about 1 in every 2500 humans?
1. Ethanol
2. Rifampicin
3. Cimetidine
4. Succinylcholine

Correct answer: 4. Succinylcholine

Explanation: * SCh is the shortest acting muscle relaxant due to its metabolism by pseudocholinesterase. * Some patients contain an atypical pseudocholinesterase (which has abnormally low activity) and are susceptible to develop apnea with the use of this drug.